Adenoidectomy with grommet insertion is treatment of choice for
1. Serous otitis media in children
2. Serous otitis media in adults
3. Adenoiditis in children
4. All of the above

Correct answer: 1. Serous otitis media in children

Explanation: Common cause of serous otitis media in children is growth of adenoid; hence treatment aims at removal of cause (adenoidectomy) and drainage of middle ear by grommet. Serous otitis media in adults should arouse suspicion of nasopharyngeal carcinoma and hence the treatment aims at removal of carcinoma Adenoiditis is an acute condition and requires treatment conservatively.